All of the following statements about Androgen Insensitivity Syndrome are true, except:
1. Patients have an XY genotype
2. Pubic hair are abundant
3. Ovaries are absent
4. Short vagina may be present

Correct answer: 2. Pubic hair are abundant

Explanation: Androgen Insensitivity Syndrome is characteristically associated with scanty or no pubic hair and not abundant pubic hair. Patients have a XY genotype with absence of ovaries and a short vagina. Ref: Shaw's Textbook of Gynaecology; 13th edition, Pages 105 and 279; Hormones, Brain, and Behavior, Volume 5 edited by Donald W. Pfaff